Which of the following is false about inferior oblique muscle -
1. It is the shortest muscle
2. Supplied by 3th cranial nerve
3. Originates from annulus of zinn
4. Its primary action is extorsion

Correct answer: 3. Originates from annulus of zinn

Explanation: Answer- C. Originates from annulus of zinnIt originates from orbital plate of maxilla lateral to the orifice of nasolacrimal duct.It is the only muscle to take origin from front of the orbit. Other recti muscle take origin from annulus of zinn.